All of the following may be used for detoixification therapy of chronic alcoholism except:
1. Naltrexone
2. Disulfiram
3. Flumazenil
4. Acamprostate

Correct answer: 3. Flumazenil